True about 1 year old child with PDA is-
1. Symptoms similar to Aorto pulmonary window
2. Chances of spontaneous closure high
3. Indomethacin may help in closure
4. Endocarditis is rare

Correct answer: 1. Symptoms similar to Aorto pulmonary window

Explanation: Ans. is 'a' i.e., Symptoms similar to aortopulmonary window Before comparing the symptoms of PDA & Aortopulmonary window let me discuss the C/F of PDA. o Patent ductus arteriosus is a communication between pulmonary artery and Aorta after fetal life. PDA results in left to right shunt from the aorta to the pulmonary artery. The flow occurs both during systole and diastole as a pressure gradient is present throughout the cardiac cycle between the 2 great arteries. This flow of blood results in continuous murmur it is usually heard at 2nd left interspace. In patients with large left to right shunt a low pitched mitral mid diastolic murmur is audible at the apex, owing to the increased volume of blood flow across the mitral valve. o There are other conditions which can produce systolic and diastolic murmur in the pulmonary area such as Aortopulmonary window defect.